Antihypertensive not contraindicated in pregnancy?
1. Spironolactone
2. Labetolol
3. Sodium nitroprusside
4. ACE inhibitor

Correct answer: 2. Labetolol

Explanation: Ans. is 'b' i.e., Labetolol See above question